A 35-year-old patient has a small but painful tumour under the nail of the little finger. Which of the following nerves would have to be anaesthetized for a painless removal of the tumor?
1. Superficial radial
2. Common palmar digital branch of median nerve
3. Common palmar digital branch of ulnar nerve
4. Deep radial

Correct answer: 3. Common palmar digital branch of ulnar nerve

Explanation: Common palmar digital branch of Ulnar nerve has to be anesthetized for this surgery. Common palmar digital branch of ulnar nerve Skin of the little finger Medial side of the ring finger Superficial branch of the radial nerve Radial (lateral) dorsum of the hand Radial two and a half digits over the proximal phalanx Common palmar digital branch of median nerve Lateral aspect of the palmar hand Palmer aspect of the second and third finger Lateral part of the fourth digit Deep radial nerve Extensor carpi radialis brevis Supinator muscles